All of the following are seen with bile duct stone except:
1. Obstructive jaundice
2. Distended and palpable gall bladder
3. Pruritis
4. Clay coloured stools

Correct answer: 2. Distended and palpable gall bladder

Explanation: Ans. B: Distended and palpable gall bladder Jaundice occurs when the CBD becomes obstructed and conjugated bilirubin enters the bloodstream. A history of clay-colored stools and tea-colored urine is obtained from such patients in approximately 50% of cases. The jaundice can be episodic. Palpable gallbladder (Courvoisier sign) may indicate gall bladder malignancy.